Drug used to treat tremors in hyperthyroidism is:
1. Adrenaline
2. Propranolol
3. Noradrenaline
4. Dopamine

Correct answer: 2. Propranolol

Explanation: Ans. B: Propranolol Beta-blockers such as propranolol help control many of the symptoms of hyperthyroidism. These drugs can slow a fast heart rate, reduce tremors, and control anxiety. Beta-blockers are particularly useful for people with extreme hyperthyroidism and for people with bothersome or dangerous symptoms that have not responded to other treatments. However, beta-blockers do not reduce excess thyroid hormone production. Therefore, other treatments are added to bring hormone production to normal levels.